Adipocere is likely to occur in -
1. Warm humid climate
2. Dry hot climate
3. Burial in sandy soil
4. Extreme cold

Correct answer: 1. Warm humid climate